Internal Fixation is primarily used in all except:
1. Compound fractures
2. Multiple fractures
3. Fractures in elderly patient
4. Fracture neck of femur

Correct answer: 1. Compound fractures

Explanation: Usual treatment for open fractures is debridement (more important) and external fixator. Compound fractures treatment depend upon wound size and time duration since injury.Usually compound fractures fall into category >=III A Type and Method of fixation: Grade I Debridement and internal fixation by intramedullary nail and plate. Grades II, IIIA Within 6 hours of injury same as Grade I. After 6 hours same as grades IIIB and IIIc. Grades III B, III C Debridement and external fixation